Which of the following is not used to treat ADHD?
1. Dexamphetamine
2. Dexmethylphenidate
3. Dextromethorphan
4. Clonidine

Correct answer: 3. Dextromethorphan

Explanation: Dextromethorphan is a NMDA antagonist used as cough suppressant.